The lymphatic drainage of cervix is as follows except :
1. Glands of parametrium
2. Hypogastric gland
3. Glands of cloquet
4. Lateral sacral group

Correct answer: 3. Glands of cloquet

Explanation: Glands of cloquet